Not seen in children is
1. Neuroblastoma
2. Retinoblastoma
3. Hepatoblastoma
4. Seminoma

Correct answer: 4. Seminoma

Explanation: Seminoma, the most common GCT in adults, does not occur before 5 years of age. seminoma is considered a postpubertal tumor.